Tigered effect in myocardium is due to -
1. Malignant change
2. Fat deposition
3. Seen in rheumatic fever
4. Associated with myocarditis

Correct answer: 2. Fat deposition

Explanation: Ans. is 'b' i.e., Fat depositiono Tigered effect is grossly apparent bands of yellowed myocardium (containing fat) alternating with bands of dark red-brown, uninvolved heart.